All are true about B. Quintana except -
1. Causes trench fever
2. Not detected by weil felix reaction
3. Recurrence is common
4. Tick is the vector

Correct answer: 4. Tick is the vector

Explanation: Vector for B.quintana- Louse
Trench Fever is often periodic and recurrent, caused by B.quintana